All of the following are concerned with spatial orientation:
1. Vestibular receptors
2. Eyes
3. Proprioceptors in joint capsule
4. All of the above

Correct answer: 4. All of the above

Explanation: Ans. D: All of the aboveSpatial orientation is dependent on inputs from vestibular receptors, visual cues, proprioceptors in joint capsules and cutaneous touch and pressure receptors.